Pepsinogen is activated by :
1. Enterokinase
2. Low pH
3. Trypsin
4. Chymotrypsin

Correct answer: 2. Low pH

Explanation: B i.e. Low pH